An outbreak of Streptococcal pharyngitis has occurred in a remote village. In order to carry out the epidemiological investigations, it is necessary to perform the culture of the throat swab of the patient suffering from the disease. The transport media of choice would be:
1. Mannitol salt media
2. Pike’s media
3. Stuart media
4. Cary Blair media

Correct answer: 2. Pike’s media

Explanation: “Pike’s media is transport media for Streptococci."